Scaphocephaly is due to premature closure of the –
1. Coronal sutrue
2. Metopic suture
3. Sagittal suture
4. Lambdoid suture

Correct answer: 3. Sagittal suture